For calculating GFR (General fertility rate) the denominator used is
1. Estimated mid-year population
2. All persons between 15-49 years
3. Women between 15-49 years
4. All live births

Correct answer: 3. Women between 15-49 years

Explanation: Ans. c (Women between 15-49 years) (Ref. Park Textbook of PSM 22nd/pg.450)GFR = no. of live births in an area during a year/mid year female population age 15-44 or 49 in the same area in same year X1000.Easy to remember: * Estimated mid-year population - for - Crude Birth Rate, Crude Marriage Rate* All live births - for - MMR, IMR, PNMR, Neonatal MR, under 5 MR,All MCH indicators live birth is in denominator except Stillbirth Rate (total live as well as stillbirths are included) and Child death rate/1 to 4 year mortality rate (total no. of children 1 to 4 years).Fertility indicators# Crude Birth Rate(CBR) - mid year population as denominator# General Fertility Rate (GFR) - female in reproductive age group as denominator# General Marital Fertility Rate (GFR) - married female in reproductive age group as denominator# Age Specific Fertility Rate (ASFR) - female in specific age group as denominator. Throw light on fertility pattern. Important indicator of family planning achievement# Age Specific Marital Fertility Rate (ASMFR) - married female in specific age group as denominator# Total Fertility Rate (TFR) - summation of all Age Specific Fertility Rate (ASFR). Denoted approximate magnitude of completed family size.# Total Marital Fertility Rate (TMFR) - summation of all Age Specific Marital Fertility Rate (ASMFR).# Gross Reproduction Rate (GRR) - average no. of girls are taken into consideration. Mortality not assumed.# Net Reproduction Rate (NRR) - average no. of girls born to newborn female are taken into consideration assuming mortality. NRR 1 equivalent to 2 child norm. NRR <1 means population is below replacement level.# Child -women ratio - used where birth registration statistics either do not exist or are inadequate.# Pregnancy Rate - all pregnancies are included. Married women are in denominator.# Abortion Rate - all women are in denominator.# Abortion Ratio - abortions /live births# Crude Marriage Rate - no. of marriages /mid year population# General Marriage Rate - no. of marriages /unnwried persons in 15^49 years.